All the following is true about Kevorkian sign except.
1. Persist even after 3 years of death
2. Appear within minutes of death
3. Visualized using opthalmoscope
4. Cattle tracking sign

Correct answer: 1. Persist even after 3 years of death

Explanation: Kevorkian sign / cattle tracking sign

It is the earliest change in eye after death.
Blood in the retinal vessels appear fragmented, visualized in opthalmoscope.
It apppears with in few seconds to minutes after death and persists for an hour.